What will be the prescription for spectacles in a patient having simple myopic with the rule astigmatism?
1. -0.5D at 180 degrees
2. +0.5D at 180 degrees
3. -3.0D at 90 degrees
4. +2.0D at 90 degrees

Correct answer: 1. -0.5D at 180 degrees

Explanation: -0.5D at 180 degrees With the rule astigmatism - two principal meridian are at right angles with the vertical meridian being more curved. Correction requires convex(+) cylinder at 90 degrees or concave (-) cylinder at 180 degrees. Myopic astigmatism means the patient has to be given a concave cylindrical lens. Against the rule astigmatism corrected by = convex(+) C at 180 degrees or concave (-) C at 90 degrees Option 4 +2.0D at 90 degrees is also with the rule astigmatism but this patient will have simple hyperopic with the rule astigmatism not simple myopic as expected from the question